The bile passes to the intestine the hepatic duct. FALSE about hepatic duct is:
1. Left hepatic duct formed in umbilical fissure
2. Caudate lobe is drained only by left hepatic duct
3. Right hepatic duct drains from V- VIII segments
4. Left hepatic duct crosses IV segment

Correct answer: 2. Caudate lobe is drained only by left hepatic duct

Explanation: The right and left livers are drained by the right and left hepatic ducts, respectively, whereas the caudate lobe is drained by several small ducts joining the bifurcation and first several centimeters of both hepatic ducts. Ref: Principles and Practice of Gastrointestinal Oncology edited by David Kelsen, 2008, Page 483.